Name curved laryngoscope?
1. Miller
2. MacIntosh
3. Muller
4. Merkerl

Correct answer: 2. MacIntosh

Explanation: Laryngoscopy is a medical procedure that is used to obtain a view of the vocal folds and the glottis. Following are the types of the available laryngoscopes:- Straight blade: Miller Curved blade: MacIntosh Ref: PL Dhingra, Diseases of Ear, Nose & Throat, 7th edition, pg no. 335, 351